Increased Aldosterone leads to all except:
1. Hypernatremia
2. Hypokalemia
3. Hypertension
4. Metabolic acidosis

Correct answer: 4. Metabolic acidosis

Explanation: Answer is D (Metabolic acidosis): Increased Aldosterone is associated with metabolic alkalosis and not metabolic acidosis. Hypokalemia (potassium excretion), Hypernatremia (sodium conservation) and hypertension (characteristically diastolic) may all be seen with increased aldosterone.